Technique used for Aspiration of sperm directly from Testes for In-vitro fertilization is:
1. IVF
2. ICSI
3. TESA
4. GIFT

Correct answer: 3. TESA

Explanation: Testicular sperm aspiration (TESA) is a procedure sample of sperm cells are removed from the testicle through a small needle attached to a syringe. Other methods used are PESA: Percutaneous Epididymal Sperm Aspiration both TESA and PESA can be done under LA. MESA: Microsurgical Epididymal Sperm Aspiration TESE: Testicular Sperm Extraction MESA is the best technique for getting useable sperms since the epididymal sperms are the 'Ready'sperms which are ejaculated with the sexual act MESA allows for diagnosis and possible reconstruction of ductal pathology and because it usually yields very large numbers of sperm, sperm cryopreservation and avoidance of repeat surgery may be possible ICSI: Intracytoplasmic sperm injection GIFT: Gamete intra fallopian tube transfer IVF: In vitro fertilisation